Which of the following is a preventable cause of intellectual disability –
1. Hypothyroidism
2. Down syndrome
3. Cerebral palsy
4. All of the above

Correct answer: 1. Hypothyroidism